Cellulitis is most commonly caused by:
1. Clostridia
2. Staphylococci
3. Streptococci
4. H. Influenzae

Correct answer: 3. Streptococci

Explanation: Ans. C: StreptococciIn individuals with normal host defenses, the most common causative organisms are streptococci, followed by Staphylococcus aureus.Cellulitis in neonates may present as sepsis, most commonly caused by group B streptococci.Hallmarks of cellulitis include the following:- Warmth, erythema, edema, and tenderness of the affected area are present.- Regional lymphadenopathy may be present.- The margin of cellulitis is not palpable. A disease similar to cellulitis, but with a sharply defined, palpable margin is erysipelas.- Fever may be present.- Cellulitis characterized by violaceous color and bullae suggests infection with Streptococcus pneumoniae (pneumococcus). Associated red streaking visible in the skin proximal to the area of cellulitis is characteristic of ascending lymphangitis.